Which of the following is not a Sarcolemmal P proteins?
1. Sarcoglycan
2. Dystrophin
3. Dystroglycan
4. Perlecan

Correct answer: 4. Perlecan

Explanation: Perlecan is a large multidomine proteolycan that binds to and cross links many ECM components and cell surface molecules Ref:Guyton and Hall textbook of medical physiology 12th edition,page number:8,9,10